The taper that should be present in a prepared tooth as abutment for FPD is
1. 10°
2. 6°
3. 2°
4. Is not important

Correct answer: 2. 6°